Treatment of choice in aphakia –
1. Contact lens
2. Spectacles
3. IOL
4. Laser therapy

Correct answer: 3. IOL

Explanation: Treatment of choice for aphakia is posterior chamber IOL.